Most common cause of Budd Chiari syndrome is:
1. Idiopathic
2. Valves in hepatic veins
3. Hepatocellular carcinoma
4. Thrombosis of hepatic veins

Correct answer: 4. Thrombosis of hepatic veins

Explanation: Answer is D (Thrombosis of hepatic veins) Most common cause of Budd Chiari Syndrome is hepatic vein obstruction Its the common cause of hepatic vein obstruction causing Budd Chiari Syndrome is 'thrombosis of hepatic veins'.